Drug resistance in MTB is due to
1. Conjugation
2. Transformation
3. Transduction
4. Chromosomal mutation

Correct answer: 4. Chromosomal mutation

Explanation: Mutational drug resistance plays a major role in Mycobacterium tuberculosis.